Tryptophan gives rise to
1. Thyroxine
2. Melatonin
3. Melanin
4. Epinephrine

Correct answer: 2. Melatonin

Explanation: Melatonin is synthesised from serotonin which in turn is from tryptophan.Ref: Textbook of medical biochemistry, MN Chatterji, 8th edition, page no: 519